Vidian neurectomy is used for the treatment of ?
1. Chronic vasomotor rhinitis
2. Benign positional paroxysmal vertigo
3. Meniere's disease
4. Otosclerosis

Correct answer: 1. Chronic vasomotor rhinitis

Explanation: Ans. is 'a' i.e., Vasomotor rhinitis Treatment of vasomotor rhinitis includes : ? 1) Conservative treatment Avoidance of physical factors which provoke symptoms. Antihistaminics and oral or nasal decongestants. Topical or systemic steroids 2) Surgical treatment Nasal obstruction can be relieved by measures which reduce the size of hypertrophied nasal turbinate : -Cryosurgery, submucosal diathermy, Linear cauterization, partial or total turbinectomy, submucosal resection of turbinate. Excessive rhinorrhoea in vasomotor Rhinitis not corrected by medical therapy and bothersome to thepatient, is relieved by sectioning the parasympathetic secretomotorfibres to nose i.e., vidian neurectomy.